Which of the following leads to Generation of X- Rays?
1. Nuclear Disntegration of Radioisotopes.
2. Electron Beam from cathode striking the Nucleus of Anode.
3. Electron Beam From Cathode Striking the Anode.
4. Electron Beam From Anode striking the Cathode.

Correct answer: 3. Electron Beam From Cathode Striking the Anode.

Explanation: X rays are produced when Fast-moving electrons from the cathode strike the anode and are decelerated in the orbital shells of the anode. The loss of kinetic energy of the electron is released as X-ray Photon, Called as Bremsstrahlung Radiation/Braking Radiation. Penetrating power of X-rays increases with increasing energy, which is proportional totheincreasing frequencyand decreasing wavelength.